Fetishism is:
1. Sexual satisfaction by contact with articles of opposite sex like hanky, sandals and clothes
2. Sexual satisfaction by rubbing the genitalia with the body of the person of opposite sex
3. Sexual gratification by exposing one's genitalia
4. Sexual satisfaction by watching the sexual act

Correct answer: 1. Sexual satisfaction by contact with articles of opposite sex like hanky, sandals and clothes

Explanation: Ans. (A). Sexual satisfaction by contact with articles of opposite sex like hanky, sandals, clothes(Ref: The essentials of forensic medicine and toxicology; Dr. KS Narayana Reddy, 33rd edition; Page no: 430)Common Sexual Perversions:Sexual gratification by watching the act of sexual intercourse: MixoscopiaQ (a form of voyeurism)Use of such objects for sexual gratification: FetishismQSexual gratification is by inflicting-pain: SadismSexual gratification by rubbing private part: FrotteurismSexual gratification by wearing opposite sex dress: TransvestismQ